A 30 year old lady presents with features of malabsorption and iron deficiency anaemia. Duodenal biopsy shows complete villous atrophy, Probable diagnosis can be ascertained on detection of which antibody :
1. Antiendomysial antibodies
2. Anti -goblet cell antibodies
3. Anti - Saccharomyces cerevisae antibodies
4. Antineutrophil cytoplasmic antibodies

Correct answer: 1. Antiendomysial antibodies

Explanation: Differential diagnosis of this patient is Celiac disease Best screening test for diagnosis of celiac sprue -anti-Tissue transglutaminase antibody > Anti-endomyosial antibody Malabsorption and anemia is seen due to proximal gut > distal part of small intestine Biopsy from Distal duodenum or proximal jejunum - loss or blunting of intestinal mucosa.